For which of the following wedging technique is used ?
1. After internal fixation with plates
2. After internal fixation with nail
3. POP cast
4. POP slab

Correct answer: 3. POP cast

Explanation: Wedging Used for POP cast, To correct the minor angulations by cutting the plaster cast partially. In few cases after application of cast, The position is checked by X-ray. Minor degrees of angulation can still be corrected by making a transverse cut in the plaster and wedging it into a better position.